Treatment of lepra type II reaction are all except
1. Clofazimine
2. Thalidomide
3. Corticosteroids
4. Cessation of anti leprosy treatment

Correct answer: 4. Cessation of anti leprosy treatment

Explanation: Treatment of lepra type 2 reaction: Continue the antileprosy treatment. Mild/ moderate (fever with few skin lesions): - Rest - Chloroquine - Aspirin - Antimonials (when associated with bone and joint problem) Severe ENL (neuritis/ arthritis/ uveitis/ orchitis): - Steroid - Clofazimine (in large doses) - Thalidomide: Thalidomide is of no value in Type I reaction It is used in management of type II reaction It is teratogenic hence contraindicated in women